A mother brought her child which has got a vascular plaque like lesion over the lateral aspect of forehead mainly involving ophthalmic and maxillary division of trigeminal nerve. Mother says that the lesion remains unchanged since birth. Also mother gives a history that the child is on valproate for seizure disorder. The probable diagnosis is
1. Tuberous sclerosis
2. Infantile hemangioma
3. Sturage weber syndrome
4. Incontinentia pigment

Correct answer: 3. Sturage weber syndrome

Explanation: C i.e. Sturge -Weber Syndrome Vascular plaque (capillary malformation) over lateral aspect of forehead mainly involving ophthalmic (VI) and maxillary (V2) division of trigeminal nerve and sezuresQ suggest diagnosis of Sturge-Weber syndrome (encephalo-trigeminal angiomatosis).